Nucleus of oculomotor nerve is in
1. Midbrain
2. Pons
3. Medulla
4. Thalamus

Correct answer: 1. Midbrain

Explanation: The oculomotor nucleus is located in the central grey matter of midbrain at the level of superior colliculus. The oculomotor nucleus is in the ventromedial part. The Edinger - Westphal nucleus (visceral oculomotor nucleus) is located dorsal to the rostral two-thirds of main oculomotor nucleus. (Ref: Vishram Singh textbook of clinical neuroanatomy, second edition pg-85)